One of the following is not a Voluntary Health agency-
1. Family planning Association of India
2. Indian Council for child Welfare
3. Ford Foundation
4. National Institute of Nutrition

Correct answer: 4. National Institute of Nutrition

Explanation: Ans. is `d' i.e., National institute of nutrition